During oral examination of a 57-year-old-man, a large keratotic patch that covers the entire palate is noted. Some 'Red Spots' are also seen in the patch. The patient most likely is a:
1. Pipe smoker
2. Cigar smoker
3. Snuff chewer
4. Tobacco chewer

Correct answer: 1. Pipe smoker